Which structure connects the Broca's and Wernicke area?
1. Arcuate fasciculus
2. Anterior commissure
3. Corpus callosum
4. Fornix

Correct answer: 1. Arcuate fasciculus

Explanation: Arcuate fasciculus connects Wernicke's area present in posterior superior temporal gyrus of dominant hemisphere (sensory area of speech) to broca's speech area present in prefrontal & premotor facial region of cerebral cortex to integrate language understanding & skilled motor function. Damage to Wernicke's area = Wernicke's aphasia (lack meaning) Damage to Broca's area = motor aphasia (vocal system couldn't emit words) Damage to arcuate fasciculus = conduction aphasia